Secondaries in the neck with no obvious primary malignancy is most often due to:
1. CA Stomach
2. CA Larynx
3. CA Nasopharynx
4. CA Thyroid

Correct answer: 3. CA Nasopharynx